HIV transmission is maximum during?
1. During Caeserian section
2. During antepartum period
3. During vaginal delivery
4. Breast feeding

Correct answer: 3. During vaginal delivery

Explanation: Ans. C. During vaginal delivery (Ref. Textbook of Gynaecology by D C Dutta 5th/pg. 538; Dutta obstetrics 7th/pg. 302).Textbook of Gynaecology b\ D C Dutta 5tjL/pg. 149....under the heading "Mode of transmission of HIV" & subheading "Perinatal transmission...............:"Perinatal transmission-the vertical transmission to neonates of the infected mothers is 25-35 %. The baby may be affected in utero (30%) through transaplacental transfer, during delivery (70-75 %) by contaminated secretions and blood of birth canal and through breast milk in neonatal period (10-20)".# Mothers who are HIV infected can pass the virus on to their fetuses in utero or to infants via breast milk. Vaginal delivery is the most common and most effective mode of transmission.# Exposures, which increase the risk of mother-to-child transmission, include -- Vaginal delivery,- Preterm delivery,- Maternal bleeding, and- Trauma to the fetal skin.# In the absence of prophylactic antiretroviral therapy to the mother during pregnancy, labor, and delivery, and to the fetus following birth, the probability of transmission of HIV from mother to infant/fetus ranges from 15 to 25% in industrialized and from 25 to 35% in developing countries.